Abrus precatorius poisoning resembles which poison:
1. Sea snake
2. Cobra
3. Viper
4. Krait

Correct answer: 3. Viper

Explanation: Ans. Viper